All of the following anibiotics act by interfering with cell was formation EXCEPT:
1. Ceftriaxone
2. Vancomycin
3. Cycloserine
4. Clindamycin

Correct answer: 4. Clindamycin

Explanation: (Ref: KDT 6/e p668) Clindamycin acts by inhibiting the protein synthesis